Amphetamine causes which of the following ?
1. IUGR
2. Cardiac anamoly
3. Cleft lip
4. All the above

Correct answer: 4. All the above

Explanation: Ans. is 'd' i.e., All the above Following are the fetal or neonatal effects of amphetamines : IUGR Abruptio placentae Glassy eyed look Prematurity Hypoglycemia Lethargy Cardiac anamolies Sweating Feeding problems Cleft palate Poor visual tracing